Avoiding awareness of pain of reality by negative sensory data is in which of the following defence mechanism -
1. Distortion
2. Denial
3. Displacement
4. Dissociation

Correct answer: 2. Denial

Explanation: Denial is the avoidance of awareness of some painful aspect of reality by negating sensory data, i.e. Patient is unable to face reality or admit an obvious truth.
Denial should be differentiated from repression -


Denial:- Person denies (does not accept) the truth, i.e. a painful aspect of reality
Repression:- Anxiety provoking (painful) stimuli are forced down to unconsciousness.


Thus, In denial, reality (often painful) is not accepted; while in repression, the stimuli that can cause anxiety (Painful) are repressed.